IQ - 40 level of intellectual disability:
1. Mild
2. Moderate
3. Severe
4. Profound

Correct answer: 2. Moderate

Explanation: Ans. Moderate